Kala azar is spread by -
1. House fly
2. Black fly
3. Sand fly
4. Tse tse fly

Correct answer: 3. Sand fly

Explanation: Kala azar or visceral leishmaniasis is a protozoal disease.It is transmited from person to person by bite of female Phlebotomus argentipus.Transmission also occurs by contamination of bite wound or by crushing the insect during act of feeding.it may transmit by blood transfusion also. C/f : fever,splenomegaly,hepatomegaly along with anemia and weight loss.Darkening of the skin of face,hands,feet,and abdomen. Parks textbook of preventive and social medicine.K Park. Edition 23. page no:305,306